Multiple nodular lesions occurring most commonly on the lower lip, resembling oral papillomas and microscopically containing virus-like particles are most likely to be:
1. Heck disease
2. Fordyce spots
3. Lingual varices
4. Linea alba

Correct answer: 1. Heck disease

Explanation: Heck's disease occurs predominantly in children. It presents as multiple nodular lesion occurring most commonly on the lower lip. The lesions of focal epithelial hyperplasia contains virus like particles, which are similar to human oral papillomas.